Most specific test for diagnosis of Syphilis:
1. VDRL
2. FTA-ABS
3. RPR
4. Kahn test

Correct answer: 2. FTA-ABS

Explanation: FTA-ABS